Time required to reach the steady state after a dosage regimen depends on:
1. Route of administration
2. Half life of a drug
3. Dosage interval
4. Dose of drug

Correct answer: 2. Half life of a drug

Explanation: Ans. (B) Half life of a drug(Ref: KDT 8th/e p40-41)* After a dosage regimen, concentration of the drug to reach the steady state (when the elimination balances the input) is called steady state plasma concentration Cpss.* Cpss is reached in about 4-5 half lives.* The amplitude of fluctuations in Cpss depends on the dose interval relative to t1/2 .